Which sugar is taken up by enterocytes by facilitated diffusion?
1. Glucose
2. Galactose
3. Fructose
4. Xylose

Correct answer: 3. Fructose

Explanation: Ans. C. FructoseFructose is taken up by enterocytes by facilitated diffusion. Both glucose and galactose are taken up by enterocytes through a sodium-dependent transporter (secondary active transport). Xylose and sucrose are not taken up by enterocytes.